Typical silvery scales of psoriasis are absent in –
1. Scalp
2. Kee
3. Groin
4. Elbow

Correct answer: 3. Groin

Explanation: Scaling is absent or minimal

Flexures (Groins, axillae, infra - mammary folds, vulva, gluteal cleft)
Glans in uncircumcised patients (in circumcised patients scales are present on glans
Guttate psoriasis